Battledore placenta is associated with highest risk of
1. Fetal anomalies
2. Cord avulsion
3. Uterine inversion
4. Single umbilical artery

Correct answer: 2. Cord avulsion

Explanation: Battle dore placenta - marginal insertion of umbilical cord, occasionally results in cord avulsion during delivery of placenta.